Rasmussen's aneurysm involves:
1. Bronchial artery
2. Pulmonary artery
3. Intercostal artery
4. Aorta

Correct answer: 2. Pulmonary artery

Explanation: Rasmussen's aneurysm refers to inflammatory pseudo-aneurysmal dilatation of the small to medium pulmonary artery branches that develop in the vicinity of a tuberculous cavity. from the rupture of a Rasmussen's aneurysm Life threatening massive hemoptysis is an uncommon yet life threatening complication of cavitary tuberculosis (TB)